Ectopic pregnancy, characteristic finding in USG is -
1. Absence of gestational sac in uterus
2. Complex adnexal mass
3. Resistance in colored Doppler
4. Free fluid in peritoneal cavity

Correct answer: 2. Complex adnexal mass

Explanation: "The Presence of a non - ovarian complex adnexal mass is the most sensitive and specific USG finding for ectopic pregnancy".
—USG in radiology
"The presence of a fetal heart beat outside the uterine cavity is pathognomonic for an ectopic pregnancy".
—USG in radiology